A twitch of motor unit is called:
1. Myoclonic jerk
2. Tremor
3. Fasciculation
4. Chorea

Correct answer: 3. Fasciculation

Explanation: Fasciculations are jerky, visible contractions of groups of muscle fibers that occur as a result of pathologic discharge of spinal motor neurons.
Reference: Ganong’s Review of Medical Physiology 25 Ed page no 110​